The bitter taste is mediated by the action of
1. Guanyl cyclase
2. G protein
3. Tyrosine kinase
4. Epithelial Na+ chain

Correct answer: 2. G protein

Explanation: Sweet- G protein coupled increased in cAMP causing closure of K+ channels.
Salt- Opening of amiloride sensitive Na+ channels
Sour- Increased intracellular H+ concentration causing closure of K+ channels
Bitter- G protein-coupled increase in intracellular Ca++ triggering neurotransmitter release.